Cupuliform cataract starts from
1. Posterior subcapsular region
2. Anterior capsule
3. Near nucleus
4. Annularly

Correct answer: 1. Posterior subcapsular region

Explanation: Answer- A. Posterior subcapsular regionCupulifurm senile cortical cataract (Posterior subcapsular) : Here a saucer shaped opacity develops just below the capsule. Usually in the central part of posterior cortex (posterior subcapsular cataract), which gradually extend outwards.Cupuliform cataract lies right in the pathway ofthe axial rays and thus causes an early loss of visual acuity.